All of the following are true about varicocele, EXCEPT:
1. Common on the right side
2. Can present as a late sign of renal cell carcinoma
3. Has bag of worm like feeling
4. Can lead to infertility

Correct answer: 1. Common on the right side

Explanation: Varicocele is due to abnormal dilation of spermatic cord veins, also known as the pampiniform plexus, due to faulty valvular venous return. Most varicoceles occur on the left, possibly due in part to the acute angle of confluence with the left renal vein and resulting higher IV pressure. Classically, the mass of enlarged veins can be palpated superior and posterior to the testis ("bag of worms"), and is more prominent when standing or with Valsalva maneuver. The sudden onset of a right varicocele should raise the question of a retroperitoneal malignancy resulting in obstruction of the right spermatic vein. Varicocele may lead to infertility in some men. Ref: Cooper C.S., Joudi F.N., Williams R.D. (2010). Chapter 38. Urology. In G.M. Dohey (Ed), CURRENT Diagnosis & Treatment: Surgery, 13e.